Not a primordial prevention
1. Exercise
2. Good nutrition
3. No smoking
4. Screening for Hypertension

Correct answer: 4. Screening for Hypertension